In a slow sand filter, the element responsible for yielding bacteria–free water is the –
1. Valve
2. Vital layer
3. Supernatant water
4. Under–drainage system

Correct answer: 2. Vital layer